Which drug inhibits absorption of cholesterol from intestine?
1. Resins
2. Ezetimibe
3. Niacin
4. Orlistat

Correct answer: 2. Ezetimibe

Explanation: ANSWER: (B) EzetimibeREF: Harrison's 18th ed ch: 356Cholesterol ivithin the lumen of the small intestine is derived from the diet (about one-third) and the bile (about two-thirds) and is actively absorbed by the enter ocyte through a process that involves the protein N PCI LI.Ezetimibe is a cholesterol absorption inhibitor that binds directly to and inhibits NPCILI and blocks the intestinal absorption of cholesterol. Ezetimibe (10 mg) inhibits cholesterol absorption by almost 60%, resulting in a reduction in delivery of dietary sterols in the liver and an increase in hepatic LDL receptor expression.The mean reduction in plasma LDL-C on Ezetimibe (10 mg) is 18%, and the effect is additive when used in combination with a statin. Effects on triglyceride and HDL-C levels are negligible, and no cardiovascular outcome data have been reported.When used in combination with a statin, monitoring of liver transaminases is recommended. The only role for Ezetimibe in monotherapy is in patients who do not tolerate statins; the drug is often added to a statin in patients who require further LDL-C reduction.